Retention of mature neutrophils in bone marrow is known as:
1. Myelokathesis.
2. Myelocytosis
3. Leukocytosis
4. Leukemia

Correct answer: 1. Myelokathesis.